Para amino benzoic acid in breast milk prevents the infection of
1. Plasmodium vivax
2. Kleibsella-pneumonia
3. Giardia
4. E.coli

Correct answer: 1. Plasmodium vivax

Explanation: Para-amino-benzoic acid(PABA) of breast milk provides protection against malaria.Ref: Page 97; Ghai essential pediatrics; 6th edition